Which of the following causes relaxation of bronchial smooth muscle?
1. Leukotrienes
2. Vasoactive intestinal polypeptide
3. Acetylcholine
4. Cool air

Correct answer: 2. Vasoactive intestinal polypeptide